A person brings gifts for her wife next day after having fight with her. This is an example of
1. Reaction formation
2. Aim inhibition
3. Undoing
4. Suppression

Correct answer: 3. Undoing

Explanation: Undoing is a neurotic defense mechanism where an act is done to nullify a previous act.